The most common site of lymphangiosarcoma:
1. Liver
2. Spleen
3. Post-mastectomy edema of arm
4. Retroperitoneum

Correct answer: 3. Post-mastectomy edema of arm

Explanation: Angiosarcoma: Rare tumour that develops as a complication of long-standing (>10 years) lymphoedema. Stewart and Treves described lymphangiosarcoma of the upper extremity in women with ipsilateral lymphedema after radical mastectomy. (Stewa-Teres syndrome) Clinical Features: Acute worsening of edema. Appearances of sub-cutaneous nodules with propensity towards hemorrhage and ulceration. Treatment: Pre-operative chemotherapy and radiotherapy followed by surgical excision (radical amputation) Associated with poor prognosis. Ref: Sabsiton 20th edition Pgno: 766